Optimum orthodontic force should not exceed the:
1. Arterial blood pressure
2. Venous blood pressure
3. Capillary blood pressure
4. Masticatory pressure

Correct answer: 3. Capillary blood pressure